Parkinsonism is induced by all drugs except -
1. Reserpine
2. Metaclopramide
3. Chlorpromazine
4. Amantadine

Correct answer: 4. Amantadine